Coronary graft is most commonly taken from?
1. Femoral vein
2. Saphenous vein
3. Axillary vein
4. Cubical vein

Correct answer: 2. Saphenous vein

Explanation: Ans. (b) Saphenous veinRefi: Introductory Guide to Cardiac Catheterization- Arman T. Askari, Medhi H. Shishehbor, Ronnier J. Aviles 159